Which one of the following is not a characteristic feature of mania:
1. Elated mood
2. Increased energy
3. Heightened concentration
4. Impaired judgment

Correct answer: 3. Heightened concentration

Explanation: Ans. (c) Heightened concentration* Abnormally & persistently elevated, expansive, or irritable mood lasting for at least 1 week or any duration, if requires hospitalization.* > 3 are needed# Inflated self esteem or grandiosity# Decreased need for sleep (< 3 hours)# More talkative or pressure to keep talking# Flight of ideas or subjective experience that thoughts are racing# Distractibility (i.e. attention to easily drawn to unimportant or irrelevant external stimuli)# Increase in goal-directed activity (social spiritual religious, sexual) or psychomotor agitation# Excessive involvement in pleasurable activities (eg. unrestrained buying sprees, foolish business investments, donations or sexual indiscretions) that have a high potential for painful consequences.Why Mania: this patients satisfies the criteria and his conditions fits into it.The patient is irritable for 10 days (i.e. criteria A-abnormally & persistently elevated mood for atleast 1 week). There are > 3 criteria B features: increased sexual indulgence & alcohol consumption (excessive involvement in pleasureable activity), decreased need for sleep and career oriented prolonged work without getting tired.